In the right middle ear pathology, weber's test will be -
1. Normal
2. Centralized
3. Lateralised to right side
4. Lateralised to left side

Correct answer: 3. Lateralised to right side